Treatment of choice for the phobic disorder is -
1. Psychotherapy
2. Behaviour therapy
3. SSRI
4. Benzodiazepam

Correct answer: 2. Behaviour therapy

Explanation: The most studied and most effective treatment for phobias is behavior therapy.